Which of the following investigation contraindicated in retinoblastoma
1. CT
2. USG
3. FNAC
4. MRI

Correct answer: 3. FNAC

Explanation: FNAC may lead to tumor seeding. Retinoblastoma is a rare malignant tumor of the retina usually seen in children before 5 years of age. The treating ophthalmologist suspected primary intraocular tumor, metastatic carcinoma, malignant melanoma, or lymphoma and referred the patient for fine needle aspiration cytology (FNAC) Reference : Aravind'S FAQ'S in ophthalmology, first edition, page no 409